All are features of Barters syndrome,except -
1. Polyuria
2. Metabolic alkalosis
3. Periodic paralysis
4. Hypertension

Correct answer: 4. Hypertension